Radium paint causes:
1. Squamous cell carcinoma
2. Osteogenic sarcoma
3. Rodent ulcer
4. Adenocarcinoma stomach

Correct answer: 2. Osteogenic sarcoma

Explanation: Ans. Osteogenic sarcoma